A lady presented with creamy white vaginal discharge with fishy odour, the drug of choice is:
1. Doxycycline
2. Ofloxacine
3. Clindamycin
4. Metronidazole

Correct answer: 4. Metronidazole

Explanation: Symptoms are suggestive of trichomoniasis
Metronidazole 200mg by mouth 3 times a day for 7 days prescribed for both partners, and adviced to abstain from intercourse or use condomduring therapy.
It is best taken after meals otherwise nausea and vomiting can occur